Red keratic precipitates are seen in -
1. Granulomatous uveits
2. Hemorrhagic uveitis
3. Old healed uveitis
4. Acute anterior uveitis

Correct answer: 2. Hemorrhagic uveitis

Explanation: Red KPs: These are formed when in addition to inflammatory cells, RBCs also take part in composition. They may be seen in haemorrhagic uveitis.